True statement regarding pulmonary ventilation is -
1. PaO2 is maximum at the apex
2. V/Q is maximum at the base
3. Ventilation per unit lung volume is maximum at the apex
4. Blood circulation is minimum at the base

Correct answer: 1. PaO2 is maximum at the apex

Explanation: Apical alveoli have low ventilation and perfusion per unit volume of the lung, whereas the basal alveoli have high ventilation and perfusion.
Ventilation-perfusion ratio and the PaO2 is maximum at the apex. PCO2 is maximum at the base.